A patient gets reccurent urticaria while doing exercise and on exposure to sunligh. Which of the following is most like cause:
1. Chronic Idiopathic Utricaria
2. Universal dermographism
3. Cholinergic Utricaria
4. Photdermatitis

Correct answer: 3. Cholinergic Utricaria

Explanation: C i.e. Cholinergic Urticaria - Patients developing urticaria (itchy wheals surrounded by erythema) under the influence of any stimulus which includes sweating by increasing core body temperature like physical exertion, emotional upset, and exposure to sun, heat, hot bath or spicy foodQ favours the diagnosis of cholinergic urticaria. Antihistaminics of H1 receptor blockerQ are drug of choice for treatment of urticaria.